What happens to minimum sample size when range of allowable error is doubled?
1. Reduced to 1/2
2. Reduced to 1/4
3. Reduced to 1/16
4. Sample size does not depend on acceptable error

Correct answer: 2. Reduced to 1/4

Explanation: Sample size = 4 Pq / L2 ( permissible error )Sample size a 1/ (error)2= 1/ (2E)2= 1/4